Arrange coverings on peripheral nerve from inner to outer
1. Endoneurium, Epineurium, Perineurium
2. Endoneurium, Perineurium, Epineurium
3. Perineurium, Endoneurium, Epineurium
4. Epineurimn, Endoneuriu, Perineurium

Correct answer: 2. Endoneurium, Perineurium, Epineurium

Explanation: coverings on peripheral nerve from inner to outer are Endoneurium, Perineurium, EpineuriumINDERBIR SINGH'S TEXTBOOK OF HUMAN HISTOLOGY PAGE NO:171